Ther technique of laproscopic cholecystectomy was first described by?
1. Erich Muhe
2. Philip Moure
3. Kurt semm
4. Eddie Reddick

Correct answer: 1. Erich Muhe

Explanation: Erich Muhe is a German surgeon who performed the first laparoscopic surgery in 1985.